Which of the following is not a component of medial column of reticular formation?
1. Raphe nuclei
2. Magnocellular
3. Subcuneiform nucleus
4. Cuneiform nucleus

Correct answer: 1. Raphe nuclei

Explanation: Medial column of nuclei are made up of large size neurons hence this column is called magnocellular column.The medial group of nuclei consists of ventral reticular nucleus(medulla), gigantocellular nucleus(medulla and pons) and oral and caudal pontine nuclei(pons).Raphe nuclei forms the median column of reticular formation. It consists of dorsal raphe nucleus(midbrain), nucleus raphe pontis( pons), nucleus raphe magnus( medulla).The midbrain reticular formation consists of the dorsal tegmental nucleus, ventral tegmental nucleus, and cuneiform nucleus. Along with the oral pontine reticular nucleus, the midbrain reticular formation projects to the nucleus gigantocellularis.(Ref: vishram Singh textbook of clinical neuroanatomy second edition pg 226)